A pulmonary disorder causes the alveoli to break down and coalesce into large air spaces. The lungs also lose elasticity and compliance is increased. A person who suffers from this disease will have
1. Increased dead air space
2. Increased vital capacity
3. Decreased PCO2 in the blood
4. Decreased anteroposterior diameter

Correct answer: 1. Increased dead air space